Heat Rupture is characterized by -
1. Regular margins
2. Irregular margins
3. Ruptured blood vessels
4. Ruptured red blood cells/clotted blood

Correct answer: 2. Irregular margins

Explanation: HEAT RUPTURE: If the heat applied is very great skin contracts and heat ruptures occur either before or after death. they are produced by splitting of the soft parts these splits may be anywhere but are usually seen over extensor surfaces joints and on the head These ruptures or splits of the skin may be several centimeters in length and are superficially they may resemble lacerations or even incised wounds They can be differentiated by : 1. absence of bleeding in the wound and surrounding tissues since heat coagulates the blood in the vessels 2. intact vessels and nerves are seen in the floor 3. irregular margins 4. bruising or other signs of vital reaction are not present in the margins. REF: The synopsis of forensic medicine and toxicology 29th edition page no: 161.